The following are recognized signs and symptoms of raised intracranial tension in a 9-month-old infant, EXCEPT:
1. Bulging fontanel
2. Setting-sun sign
3. Papilledema
4. Increase in head size

Correct answer: 3. Papilledema

Explanation: - Papilledema is usually not seen in infancy & neonates, as the fontanelle are open. - Signs & symptoms of raised ICP: Headache, vomiting, visual disturbances, progressing to neurological deficits & coma Chronically raised ICP before closure of sutures results in increased head size & hydrocephalus presenting as Bilateral sunsetting Tense bulging anterior fontanelle Hypertension & bradycardia 6th cranial nerve palsy - false localizing sign